All of the following about depression are true except
1. Aaron.T Beck gave triad of depression
2. Insomnia is seen in the early part of sleep
3. Serotonin levels are decreased
4. Delusion of Nihilism is seen in Depression

Correct answer: 2. Insomnia is seen in the early part of sleep

Explanation: Depression is characterised by terminal insomnia or early morning awakening.